IL-2 is secreted by:
1. CD4 and lymphocytes
2. CD8 cells
3. Macrophages
4. Neutrophils

Correct answer: 1. CD4 and lymphocytes

Explanation: Answer is A (CD4 and lymphocytes) : IL-2 is produced by T helper (CD4) lymphocytes